Exposure of left subclavian artery by supraclavicular approach does NOT require cutting of:
1. Sternocleidomastoid
2. Scalenus anterior
3. Scalenus medius
4. Omohyoid

Correct answer: 3. Scalenus medius

Explanation: Scalenus medius muscle lies postero-inferior to subclavian artery and is not required to be cut.